Most common cause of fungal sinusitis is
1. A. fumigatus
2. A niger
3. A flavus
4. Candida

Correct answer: 1. A. fumigatus

Explanation: Commonest cause of fungal sinusitis is Aspergillus fumigatusOther causes (Non-invasive form) - A.niger, A.flavus, CandidaNon-invasive fungal sinusitis presents as a fungal ball or allergic fungal rhinosinusitis (AFRS)Ref: Hazarika; 3rd ed; Pg 338